Fear of dogs is called as
1. Cynophobia
2. Thanatophobia
3. Nyctophobia
4. Pyrrophobia

Correct answer: 1. Cynophobia

Explanation: Fear of dogs : Cynophobia.
Fear of death : Thanatophobia.
Fear of Fire : Pyrrophobia.
Fear of dark : Nyctophobia.